Which is concerned with cell mediated immunity -
1. B-Lymphocytes
2. T-Lymphocytes
3. Eosinophils
4. Monocytes

Correct answer: 2. T-Lymphocytes

Explanation: Cell-mediated immunity is an immune response that does not involve antibodies, but rather involves the activation of phagocytes, antigen-specific cytotoxic T-lymphocytes, and the release of various cytokines in response to an antigen. Ref: Ananthanarayan & Panikers textbook of microbiology 9th edition pg.no. : 152